Bilateral pleural thickening in lower and middle lung zone is radiological feature of
1. Silicosis
2. Stannosis
3. Asbestosis
4. Siderosis

Correct answer: 3. Asbestosis

Explanation: Bilateral pleural thicking (Pleural plaques) in lower & middle lung is seen in Asbestosis.